Thiazide diuretic does not cause :
1. Hyper calcaemia
2. Hypo magnesemia
3. Hyperkalemia
4. Hyperuricemia

Correct answer: 3. Hyperkalemia